The cranial nerve most commonly involved in malignant otitis externa is?
1. 3rd
2. 4th
3. 6th
4. 7th

Correct answer: 4. 7th

Explanation: It is an inflammatory condition caused by Pseudomonas infection, usually in the elderly diabetics or in those on immunosuppressive drugs. There will be excruciating pain and granulations in the ear canal. Facial paralysis is common. (Ref: Textbook of diseases of ENT, PL Dhingra, 7th edition, pg no. 55)